All of the following are the known causes of osteoporosis except:
1. Fluorosis
2. Hypogonadism
3. Hyperthyroidism
4. Hyperparathyroidism

Correct answer: 1. Fluorosis

Explanation: Clinical Features of fluorosis include yellow staining and pitting of permanent teeth, osteosclerosis, soft tissue calciﬁcation, deformities (e.g. kyphosis) and joint ankylosis. Changes in the bones of the thoracic cage may lead to rigidity that causes dyspnoea on exertion.
Davidson Ed 23 Pg 149